Which of the following is most useful in detecting condylar neck fractures?
1. Transcranial view
2. Transpharyngeal projection
3. Transorbital projection
4. OPG

Correct answer: 3. Transorbital projection

Explanation: TRANSMAXILLARY OR TRANSORBITAL VIEW:- 
In order to better view the medial and central portions of the condyles, it is recommended that an additional coronal view of the TMJ be acquired. This can be achieved with the use of transmaxillary or transorbital projections. Anteroposterior projection geometry places the TMJ closer to the plane of the receptor.